Clear cells are commonly seen in which of the following lesions?
1. Pleomorphic
2. Warthins tumor
3. Mucoepidermoid
4. Adenomatoid odontogenic tumor

Correct answer: 3. Mucoepidermoid